Tongue muscle which is not developed from occipital myotome is
1. Styloglossus
2. Hyoglossus
3. Palatoglossus
4. Genioglossus

Correct answer: 3. Palatoglossus

Explanation: Tongue muscles develop from the occipital myotomes which are supplied by the hypoglossal nerve.Only palatoglossus is supplied by the cranial root of accessory through pharyngeal plexus and is developed from mesoderm of sixth arch. REF.BDC VOL.3,Fifth edition.